Craigia tube is used to differentiate between:
1. Virulent and avirulent strains
2. Rough and smooth strains
3. Motile and non-motile strains
4. Capsulated and non-capsulated strains

Correct answer: 3. Motile and non-motile strains